An obstetrician performs a median episiotomy on a woman before parturition to prevent uncontrolled tearing. If the perineal body is damaged, the function of which of the following muscles might be impaired?
1. Ischiocavernosus and sphincter urethrae
2. Deep transverse perineal and obturator internus
3. Bulbospongiosus and superficial transverse perineal
4. External anal sphincter and sphincter urethrae

Correct answer: 3. Bulbospongiosus and superficial transverse perineal

Explanation: The perineal body (central tendon of the perineum) is a fibromuscular node at the center of the perineum. It provides attachment for the bulbospongiosus, the superficial and deep transverse perineal muscles, and the sphincter ani externus muscles. Other muscles (ischiocavernosus, sphincter urethrae, and obturator internus) are not attached to the perineal body.